True regarding sick euthyroid syndrome
1. Normal TSH, T3 , T4 level
2. Normal TSH, low T3, normal T4 level
3. High TSH, low T3, low T4 level
4. High TSH, low T3, high T4 level.

Correct answer: 2. Normal TSH, low T3, normal T4 level

Explanation: Hormone level in sick euthyroid syndrome usually of

Low T3 , nomal T4 , TSH – low T3 syndrome
Low T3, low T4 , normal TSH – low T4 syndrome- severe cases